Waterhouse-Friderichsen Syndrome is
1. Adrenal failure due to rapid withdrawal of steroids
2. Massive adrenal hemorrhage following difficult delivery in neonates.
3. Massive adrenal hemorrhage following disseminated bacterial infection
4. Adrenal crisis in individuals with chronic adrenocortical insufficiency precipitated by any form of stress

Correct answer: 3. Massive adrenal hemorrhage following disseminated bacterial infection

Explanation: All the options are the causes of acute adrenocortical insufficiency.Waterhouse-Friderichsen syndrome is adrenal gland failure due to bleeding into the adrenal gland as a complication of disseminated bacterial infection.Overwhelming bacterial infection, classically Neisseria meningitidis septicemia but occasionally caused by other highly virulent organisms, such as Pseudomonas species, pneumococci, Haemophilus influenzae, or even staphylococci are causes.Can occur at any age but is more common in children.Ref: Robbins Pathology; 9th edition; Page no: 1129